Which of the following auto antibodies is most likely to be present in a patient with systemic lupus erythematosus?
1. Anti- ds DNA
2. Anti-RNP
3. Anti-Ro
4. Antiphospholipid

Correct answer: 1. Anti- ds DNA

Explanation: Subtypes of anti nuclear antibodies include anti-Smith and anti-double stranded DNA (dsDNA) antibodies (which are linked to SLE).